Cushing's disease presents with -
1. Increased ACTH and increased cortisol
2. Decreased ACTH and decreased cortisol
3. Increased ACTH and decreased cortisol
4. Increased catecholamines

Correct answer: 1. Increased ACTH and increased cortisol

Explanation: Hyperaldosteronism : Conn's syndrome